The most probable cause of crowding in lower anterior region is:
1. Prolonged retention of lower primary incisors
2. Premature exfoliation of tower primary incisors
3. Presence of supernumerary teeth
4. Tooth-size-arch length discrepancy

Correct answer: 4. Tooth-size-arch length discrepancy